True about orphan drug is -
1. Prevention of rare disease or condition
2. No aid is offered to pharmacological companies for developing orphan drugs
3. Rifabutin is not an orphan drug
4. Treatment of common disease in a resourceful country

Correct answer: 1. Prevention of rare disease or condition

Explanation: Ans. is 'a' i.e., Prevention of rare disease or condition Orphan drugo Drugs or biological products for diagnosis/ treatment7 prevention of a rare disease or condition or a more common disease (endemic only in resource poor countries), for which there is no reasonable expectation that the cost of developing and marketing it will be recovered from the sales of that drug,o Sodium nitrite, fomepizole, liposomal amphotericin B, miltefosine, rifabutin, succimer, somatropin, digoxin immune Fab, liothronine are some of the orphan drugs.o Governments in developed countries provides tax benefits and other incentives to pharmaceutical companies for developing and marketing orphan drugs.